All of the following are TRUE about hCG EXCEPT
1. Has luteotrophic action
2. Acts on the same receptors as LH
3. Secreted by cytotrophoblast
4. It is a glycoprotein

Correct answer: 3. Secreted by cytotrophoblast

Explanation: hCG is a glycoprotein that is produced by the syncytiotrophoblast. It has Alpha and Beta subunits hCG-a HCG is identical to the a subunit of LH, FSH, and TSH. hCG is primarily luteinizing and luteotropic and has little FSH activity. It can be detected in the blood as early as 6 days after conception. It appears to act on the same receptor as LH.